Most common slowly growing vascular tumor of the spinal cord, cerebellum and brain is:
1. Hemangioblastoma
2. Pilocytic astrocytoma
3. Meningioma
4. Medulloblastoma

Correct answer: 1. Hemangioblastoma

Explanation: Hemangioblastoma Most common slowly growing vascular tumor of the spinal cord, cerebellum and brain Long history of minor neurological symptoms that are followed by a sudden exacerbation Clinical presentation d/o anatomical location and growth patterns. -Cerebellar lesions -Signs of cerebellar dysfunction ataxia and lack of coordination) or with symptoms of |sed ICP due to associated hydrocephalus -Spinal cord lesions -Present with pain-Signs of segmental and long-track dysfunction due to progressive compression of spinal cord.